50 year old Dharma is admitted for chest discomfort. A right bundle branch block like pattern with ST elevations in right precordial leads, localised to V1 V2 and V3, in ECG is observed. There is no indication of an MI or RBBB in general. Which of the conditions could be a risk to his life?
1. WPW syndrome
2. AV node reentrant tachycardia
3. Hyperkalemia
4. Brugada syndrome

Correct answer: 4. Brugada syndrome

Explanation: RBBB like pattern with ST elevation in V1-3 is typically seen in brugada syndrome. It may sometimes leads to sudden cardiac death. Ref:Harrisons Principles of Internal Medicine, 18th Edition, Page 1838